Form the normal bacterial flora of the conjunctiva
1. Corynebacterium xerosis
2. E. Coli
3. Streptococci
4. All of the above

Correct answer: 1. Corynebacterium xerosis

Explanation: Ans. Corynebacterium xerosis